Odontalgia that is occasionally typical in hypertensive patients is a result of
1. Headache radiating to the teeth
2. Nervous tension and worry
3. Hyperaemia of pulp resulting from increased blood pressure
4. Abnormal stimulation of the sympathetic nerve system

Correct answer: 3. Hyperaemia of pulp resulting from increased blood pressure